In the Rabies vaccine schedule of 0,3,7,14,30,90,0 means -
1. Day of dog bite
2. Day of first injection
3. Day of symptom onset
4. Day of dog death

Correct answer: 2. Day of first injection

Explanation: The vaccination schedule recommended consists of 6 doses on day 0,3,7,14,28 and a booster dose on day 90(Ref.PARK'S TEXTBOOK OF PREVENTIVE AND SOCIAL MEDICINE 21st Edition page no.255)